Commonest site of lytic lesion in multiple myeloma is:
1. Vertebral column
2. Femur
3. Clavicle
4. Pelvis

Correct answer: 1. Vertebral column

Explanation: In multiple myeloma- bone lesions are most common in vertebral column. The pain usually involves the back and ribs, and unlike the pain of metastatic carcinoma, which often is worse at night, the pain of myeloma is precipitated by movement. Persistent localized pain in a patient with myeloma usually signifies a pathologic fracture. The most common site of lytic lesion in multiple myeloma is vertebra>skull>ribs. Distal to elbow and knee lesions are not seen.